Opening of esophagus into diaphragm is at the level of -
1. T6
2. T10
3. T12
4. T8

Correct answer: 2. T10

Explanation: Ans. is 'b' i.e., T10 OpeningVertebral levelIn which part of diaphragmPassing structureVena CavaiT8Central tendony Inferior vena cavay Right phrenic nerveOseophageaiT10Muscular portion derived from right crusy Oesophagusy Oesophageal br. of left gastric arteryy Gastric or vagus nerveAorticT12Osseoaponeurotic betweenright and lateral crusy Aortay Thoracic ducty Azygous vein